Pentostatin acts by inhibiting
1. RNA dependent DNA polymerase
2. Aldolase
3. Aldenosine deaminase
4. Adenylyl cyclase

Correct answer: 3. Aldenosine deaminase

Explanation: Ref-Katzung 10/920 Pentostatin and cilastatin are not statins i.e. these do not act by inhibiting HMG-CoA reductase. Pentostatin acts by inhibiting adenosine deaminase. It is used for the treatment of hairy cell leukemia. Drug of choice for hairy cell leukemia is cladribine.